Which among the following is false about leprosy?
1. Multibacillary leprosy is defined as a patient having more than 5 skin lesions
2. A defaulter is defined as a patient who has not collected treatment for 6 months
3. Target for elimination of leprosy is a prevalence rate below 1 per 10,000 population
4. Annual New Case Detection Rate (ANCDR) is a measure of the incidence of leprosy

Correct answer: 2. A defaulter is defined as a patient who has not collected treatment for 6 months

Explanation: A defaulter is a leprosy patient on Multi-Drug Therapy (MDT), who has not collected treatment for 12 consecutive months. All other statements given above are true. Ref: Park's Textbook Of Preventive And Social Medicine, By K. Park, 19th Edition, Page 56, 265, 269, 273-275.